All are true about delirium tremens, except:
1. Normal sleep wake cycle
2. Visual hallucinations
3. Coarse tremors
4. Clouding of consciousness

Correct answer: 1. Normal sleep wake cycle

Explanation: Ans. Normal sleep wake cycle